Which of the following receptors mediate stretch reflex:
1. Golgi tendon organ
2. Merkel's disc
3. Muscle spindle
4. Meissner's corpuscles

Correct answer: 3. Muscle spindle

Explanation: Muscle spindle are distributed throughout the belly of muscle & send information to Nervous system about (i) Muscle length (ii) Rate of change of muscle length Golgi tendon organ is located in muscle tendons transmits information about (i) Tendon tension (ii) Rate of change of Tendon tension Muscle stretch | Intrafusal fibers of muscle spindles stretched | Signal from muscle spindles receptor Ia afferents | Enter spinal cord & end on a motor neuron | a motor neuron carries efferent to extrafusal fibers | Brief contraction = stretch reflex (Monosynaptic) MEISNER CORPUSCLE - Present in non-hairy parts of skin (Finger tips, lips etc.) and other areas where ability to discern spatial locations of touch sensation are highly developed - They adapt in fraction of a second after stimulation hence are particularly sensitive to movement of objects over skin surface as well as low frequency vibrations MERKELS DISC - Expanded tip tactile receptors - Transmit an initially strong but partially adapting similar then continuing weaker signal that adapt slowly - Determine continuous touch of objects against skin